All of the following are features of ischemia in anterior choroidal artery territory except?
1. Hemiparesis
2. Hemisensory loss
3. Homonymous hemianopia
4. Predominant involvement of the anterior limb of internal capsule

Correct answer: 4. Predominant involvement of the anterior limb of internal capsule

Explanation: Anterior choroidal artery Arises from the internal carotid artery. Supplies the posterior limb and genu of the internal capsule Occlusion- Contralateral hemiplegia, hemianesthesia, hypesthesia, and homonymous hemianopia. Internal capsule Blood supply ANTERIOR LIMB A.C.A. (medial striate A) + M.C.A (lateral striate A.) GENU I.C.A. ( ant. choroidal A) + lenticulostriate A. POSTERIOR LIMB I.C.A. ( Ant. choroidal A) + M.C.A (lateral striate A.)